Adson test used for determining vascular insuffciency. It is useful in
1. Peripheral vascular disease
2. Varicose veins
3. Cervical rib
4. AV fistula

Correct answer: 3. Cervical rib

Explanation: Adson's Test (Scalene Test) Instruction Patient is instructed to take a deep breath and hold it Extend the neck fully Turn face towards the side Inference Maneuver tightens the anterior & middle Scalene muscles thus decreasing the interscalene space & magnifying any pre existing compression Obliteration or diminution of radial pulse suggests the diagnosis Ref: Sabiston 20th edition Pgno :1603